Janani Suraksha Yojana is applicable to poor women of low performing states for -
1. First 2 pregnancies
2. First 3 pregnancies
3. First 2 live births
4. All births

Correct answer: 4. All births

Explanation: Ans. is 'd' i.e.. All births Janani Suraksha Yojana o The National Maternity Benefit scheme has been modified into a new scheme called Janani Suraksha Yojana. o It was launched on 12th April 2005. o The objectives of the scheme are reducing maternal and infant mortality through encouraging delivery at health, institutions, and focusing on institutional care among women in below poverty- line, o Salient features of JSY: It is 100% centrally sponsored It combines 'benefit of cash assistance with institutional care' Eligibility for cash assistance. In low performing states (LPS) : All women undergoing institutional deliveries In high performing states (HPS) : Below poverty- line women aged 19 years and above; SC/ST pregnant women o Limitation of cash assistance In low performing states (LPS) : All births in institutions In high performing states (HPS) : upto 2 live births, o JSY package: Rural areas Urban areas Category Mother's package ASHA's package Total package Mother's package ASHA's package Total package LPS 1400 600 2000 1000 200 1200 HPS 700 - 700 600 - 600